Left sided sixth nerve palsy would lead to:
1. Accomodation paresis of left eye
2. Ptosis od left eye
3. Adduction weakness of left eye
4. Diplopia in left gaze

Correct answer: 4. Diplopia in left gaze

Explanation: D. i.e. Diplopia in left gaze